True about drug induced lupus -a) Anti histone antibodyb) Rare anti-ds DNAc) Renal involvementd) Serositis
1. abd
2. bcd
3. abc
4. ab

Correct answer: 1. abd